True about pyloric stenosisa) Hypokalemiab) Hyponatremiac) Metabolic acidosisd) Hypochloremiae) Hypocalcemia
1. abd
2. bcd
3. abc
4. ab

Correct answer: 1. abd